Autopsy in a new-born is done by opening first
1. Head
2. Chest
3. Abdomen
4. Back

Correct answer: 3. Abdomen

Explanation: - Autopsy in a new-born is done by opening first the abdomen and the highest point of diaphragm is noted